Commonest site for ischemic colitis is -
1. Hepatic flexure
2. Splenic flexure
3. Descending colon
4. Ascending colon

Correct answer: 2. Splenic flexure

Explanation: Ans is 'b' ie. Splenic flexure "Although splenic flexure is the most common site of ischemic colitis, any segment of colon may be affected. The rectum is relatively spared because of its rich collateral circulation."